Waddling gait (Sailor's gait) is seen in
1. Bilateral CTEV (Congenital Talipes Equino Varus)
2. Bilateral CDH (Congenital Dislocation of Hip)
3. Congenital genu recurvation
4. Bilateral calcaneo-valgus deformity

Correct answer: 2. Bilateral CDH (Congenital Dislocation of Hip)

Explanation: (B) Bilateral CDH (Congenital Dislocation of Hip) # Myopathic gait (or Waddling gait) is a form of gait abnormality.> The "waddling" is due to the weakness of the proximal muscles of the pelvic girdle.> The patient uses circumduction to compensate for gluteal weakness.> Conditions associated with a myopathic gait include pregnancy, congenital hip dysplasia, muscular dystrophies and spinal muscular atrophy, metaphyseal chondrodysplasia, diaphyseal dysplasia, limb girdle dystrophy.